Which of the following is not a feature of paralytic ileus?
1. Hypoactive bowel sounds
2. Presence of gas in rectum
3. Colicky pain
4. Dilated bowel loops with multiple air fluid levels on X-ray

Correct answer: 3. Colicky pain

Explanation: Paralytic ileus Failure of transmission of peristaltic waves due to neuromuscular failure. Etiology: Abd Sx Intra-abdominal infection Dyselectrolytemia Drugs Clinical presentation Abdominal distention Vomiting Dilated bowel loops No mechanical obstruction Paralytic ileus Mechanical obstruction Pain is not a feature of paralytic ileus and if present a steady, diffuse discomfort Bowel sounds are hypoactive or absent Presence of gas in colon & rectum in paralytic ileus on abdominal X-ray Pain is colicky in mechanical obstruction Hyperactive bowel sounds in mechanical obstruction Absence of gas in colon & rectum in mechanical (complete) small bowel obstruction